cGMP acts as second massenger for ?
1. Nitric acid
2. FSH
3. Dopamine
4. Calcitonin

Correct answer: 1. Nitric acid

Explanation: Ans. is 'a' i.e., Nitric acidActivation of GC (Guanylyl cyclase) results in increased synthesis and intracellular accumulation of cGMP.cGMP acts through cGMP dependent protein kinase.Hormone acting through cGMP are atrial natriuretic peptide and nitric oxide.